Which of the following organelles plays a pivotal role in Apoptosis:
1. Mitochondria
2. Endoplasmic Reticulum
3. Nucleus
4. Golgi Apparatus

Correct answer: 1. Mitochondria

Explanation: Initiation of apoptosis occurs through two different pathways, intrinsic mitochondria pathway and extrinsic death receptor mediated pathway. Mitochondria plays active role in apoptosis. Ref: Tanley L. Robbins, Ramzi S. Cotran, (2012) , Chapter 1, "Cell Injury", In the book, "Pocket Companion to Robbins and Cotran Pathologic Basis of Disease", 8th Edition, USA, Page 27; Robbin's Basic Pathology, 7th Edition, Pages 28, 29; Essential of Apoptosis (2003), Page 245